Sulfa drug used in inflammatory bowel disease includes:
1. Sulfasalazine
2. Sulfamethoxazole
3. Sulfinpyrazone
4. Sulphadoxine

Correct answer: 1. Sulfasalazine

Explanation: the azo bond is split by colonic bacteria to release 5ASA and sulfa pyridine .the former exerts a local antiinflammatory effect ESSENTIALS OF MEDICAL PHARMACOLOGY SEVENTH EDITIION KD TRIPATHI PG NO 683